Very rarely enamel overlap cementum, but this condition is seen in which of the following case?
1. Cervical enamel projection
2. Cervical resorption
3. Erosion
4. None

Correct answer: 1. Cervical enamel projection